Cremasteric muscle is supplied by:
1. Genital branch of genitofemoral nerve
2. Femoral branch of genitofemoral nerve
3. Lateral femoral nerve
4. Ilio-inguinal nerve

Correct answer: 1. Genital branch of genitofemoral nerve

Explanation: A. i.e. Genital branch of genitofemoral nerve